Ideal fluid for irrigation during ECCE is
1. Normal saline to dextrose
2. Normal saline
3. Balanced salt solution
4. Balanced salt solution + glutathione

Correct answer: 4. Balanced salt solution + glutathione

Explanation: Balanced salt solution with glutathione resembles the aqueous most and hence the most ideal